Lymph mode metastasis in neck is almost never seen with:
1. Carcinoma vocal cords
2. Supraglottic carcinoma
3. Carcinoma of tonsil
4. Papillary carcinoma thyroids

Correct answer: 1. Carcinoma vocal cords

Explanation: Ans. A Carcinoma of vocal cords. Ref. Dhingra Sth/ed p 327, 6th/ed p 309 "There are very few lymphatics in vocal cords and nodal metastasis are practically never seen in cordallesions unless ithas spread beyond the region of membranous cord.